Treatment in 6 month old child with acute watery diarrhoea without signs of dehydration is –a) Mothers milk and household fluidsb) ORS and antibioticsc) Mothers milk and antibioticsd) Mothers milk and ORS
1. b
2. c
3. ad
4. ab

Correct answer: 3. ad

Explanation: Treatment plan to prevent dehydration - Plan A
The mother should be educated to use increased amount of culturally appropriate home available fluids. In addition, they should be given ORS packets for use at home.
Breast feeding should not be discontinued.